which of the following is not a complication of acute osteomyelitis
1. Malignancy
2. Factors of the affected bone
3. Sepsis
4. Chronicity

Correct answer: 1. Malignancy

Explanation: Chronic osteomyelitis is the most common complication. Other complications are : septicemia and pyemia septic arthritis metastatic infection to other body parts pathological fractures altered growth from damage to epiphyseal growth plate recurrence. malignancy can be seen in chronic osteomyelitis. image of acute osteomylitis ref : maheswari9th ed